Anastomotic leaks are most commonly seen in
1. Billroth 1
2. Roux en y gastrojejunostomy
3. Polya gastrectomy
4. Antral gastrectomy

Correct answer: 1. Billroth 1

Explanation: Since there is end to end gastroduodenal anastomosis in billroth 1 there are more chances of anastomotic leak